All of the following are examples of round cell tumour, except
1. Neuroblastoma
2. Ewing Sarcoma
3. Non-Hodgkin's lymphoma
4. Osteosarcoma

Correct answer: 4. Osteosarcoma

Explanation: Ans. is 'd' i.e., Osteosarcoma Histologically many of the malignant pediatric neoplasms are unique. They tend to have a more primitive (embryonal) rather than pleomorphic anaplastic microscopic appearance. Often characterized by sheets of cells with small round nuclei. Frequently exhibit features of organogenesis specific to the site of tumour origin (therefore these tumors are frequently designated by suffix - blastoma). Owing to their primitive histological appearance many childhood tumours have been collectively referred to as small round blue cell tumors. The differential diagnosis of small round blue cell tumors include * Neuroblastoma * Rhabdomyosarcoma * Wilms tumours Ewings sarcoma * Lymphoma Primitive neuroectodermal tumours